The palatine tonsil receives its arterial supply from all of the following except -
1. Facial
2. Ascending palatine
3. Sphenopalatine
4. Dorsal lingual

Correct answer: 3. Sphenopalatine

Explanation: Blood supply of tonsils

The tonsil is supplied by five arteries :-


Tonsillar branch of facial artery. This is the main artery.
Ascending pharyngeal artery from external carotid.
Ascending palatine, a branch of facial artery.
Dorsal lingual branches of lingual artery.
Descending palatine branch of maxillary artery.